Neointimal hyperplasia causes vascular graft failure as a result of hypertrophy of:
1. Endothelial cells
2. Collagen fibers
3. Smooth muscle cells
4. Elastic fibers

Correct answer: 3. Smooth muscle cells

Explanation: The proliferation of smooth muscle cells is a critical event in the neointimal hyperplastic response. Blockade of smooth muscle cell proliferation resulted in preservation of normal vessel phenotype and function, causing the reduction of neointimal hyperplasia and graft failure. Ref: Advances in End-stage Renal Diseases 2005: International Conference on Dialysis By Claudio Ronco, 2005, Page 30 ; Tissue Engineering: From Lab to Clinic By Norbert Pallua, Christoph V. Suscheck, 2011, Page 280